Postmicturition dribbling is due to
1. Detrusor overactivity
2. Dribbling decreases in case of urethral stricture
3. Collection of Urine in U shaped curve of bulb of penis
4. Neurogenic bladder

Correct answer: 3. Collection of Urine in U shaped curve of bulb of penis

Explanation: Post micturition dribble (PMD) is the term used when an individual describes the involuntary loss of urine immediately after he/she has finished passing urine. This is a common symptom in the ageing male when the bulbar urethra fails to empty itself of urine at the completion of micturition. PMD is a symptom which is not usually remedied by a transurethral resection of the prostate. ref : Bailey and Love 27th ed , chapter 75, pg no 1375